All of the organs are affected by coagulative necrosis except:
1. Heart
2. Kidney
3. Lung
4. Brain

Correct answer: 4. Brain

Explanation: Ischemia caused by obstruction in a vessel may lead to coagulative necrosis of the supplied tissue in all organs except the brain.